Which of the following is insulin dependent for its action?
1. GLUT 1
2. GLUT 2
3. GLUT 3
4. GLUT 4

Correct answer: 4. GLUT 4

Explanation: GULT 4 is located in adipose tissue, heart and skeletal muscles, where it is functionally associated with hexokinase II. It caries out insulin-stimulated glucose uptake.